All organisms show bipolar staining except -
1. Calymatobacter granulomatis
2. Yersinia pestis
3. H. influenzae
4. Burkholderia pseudomallei

Correct answer: 3. H. influenzae

Explanation: Safety pin like appearance (Bipolar staining) (both ends densely stained and a clear central area) is seen in - Y. pestis H. ducreyi Calymatobacter granulomatis Vibrio parahemolyticus Burkhodelderia pseudomallei Burkhodelderia mallei Gram, Wright, Wayson (or methylene blue staining) or Giemsa stain is used for demonstration of the typical bipolar (safety pin) morphology.